Which of the following doesn't cause urethritis in males?
1. H. Ducreyi
2. Trichomonas vaginalis
3. N. Gonorrhoea
4. Chlamydia trachomatis

Correct answer: 1. H. Ducreyi

Explanation: H. Ducreyi causes soft chancre/ chancroid. It doesn't cause urethritis in males. Infectious cause of urethritis- Neisseria gonorrhea Chlamydia trachomatis Trichomonas vaginalis Mycoplasma genitalum HSV Adenovirus Ureaplasma urealyticum